A radical group commissions scientists to develop a Category A bioterrorism agent. They want an agent that will paralyze victims within hours and be disguised within innocuous-appearing cans of split pea soup. Which of the following organisms best meets the requirements stated?
1. Chlamydia psittaci
2. Clostridium botulinum
3. Ebola virus
4. Hantavirus

Correct answer: 2. Clostridium botulinum

Explanation: The spores of Clostridium botulinum will survive the canning process in such non-acidic foods as peas when they are not heated sufficiently so that organisms grow and elaborate a neurotoxin. However, the plot fails when everyone prefers to eat junk food and not vegetables. Perhaps the terrorists should promote trans fats, which, when combined with lack of exercise, will increase morbidity and mortality from atherogenesis to a greater extent than any infectious agent. Chlamydia psittaci is a Category B agent that is airborne and causes pneumonia. Ebola virus produces a hemorrhagic fever. Hantavirus spread through the aerosolization of deer mouse droppings causes pneumonia and sepsis. Yersinia pestis is the Black Death, which produces lymphadenitis, pneumonia, and sepsis; the vector is the rat flea.